After premature delivery, mother's milk is low in –
1. Lactose
2. Fat
3. Protein
4. Sodium

Correct answer: 1. Lactose

Explanation: Premature milk contains less lactose in comparison to term milk